Reciprocal arm serves mainly to:
1. To give flexibility
2. Give indirect retention
3. Counteract the forces of retentive arm
4. To give support

Correct answer: 3. Counteract the forces of retentive arm